The optimal granule size of soda lime is
1. 4- 8 mesh
2. 8- 10 mesh
3. 10- 12 mesh
4. 12- 16 mesh

Correct answer: 1. 4- 8 mesh

Explanation: The size of the soda lime granules is 4-8 mesh (i.e. will pass through a mesh of 4-8 strands per inch in each axis or 2.36-4.75 mm). Soda lime consists of 4% NaOH, 1% KOH, 14-19% H2O, and the remainder Ca (OH)2. In addition, small amounts of silica or kieselguhr are added for hardening, and to reduce the formation of dust. Absorbents are supplied in pellets or granules. Small granules provide greater surface area but at the cost of increased resistance The most frequently used size of soda lime granule is 4-8 mesh (i.e., 0.25-inch to 0.125-inch diameter). In theory, 100 g of CO2absorbent (soda lime) can absorb 26 L of CO2.